A 5-year-old girl came with history of progressively increasing pallor since birth and hepatosplenomegaly. Which is the most relevant test for achieving diagnosis?
1. Hb electrophoresis
2. Peripheral smear examination
3. Osmo c fragility test
4. Bone marrow examination

Correct answer: 1. Hb electrophoresis

Explanation: Progressive increasing pallor along with hepatosplenomegaly in a five-year-old girl is consistent with a diagnosis of thalassemia. (Thalassemia intermedia) 'Hemoglobin electrophoresis' is the test of choice of diagnosing this condition and hence is the option of choice here.